Which of the following is a contraindication for medical management of gallstones
1. Radiopaque stones
2. Radiolucent stones
3. Normal functioning gallbladder
4. Small stones

Correct answer: 1. Radiopaque stones

Explanation: Pre requisites for Medical treatment in gallstones Radiolucent(cholesterol) stones Stones <10mm in diameter Functioning GB Non-acute symptoms Radiopaque is a contraindication for medical management and treated surgically by cholecystectomy Ref: Sabiston 20th edition Pgno :1494